A 6 yr old child has history of Birth Asphyxia does not communicate well, has slow mental and physcial growth, does not mix with people, has limited interests, gets widely agitated if disturbed, diagnosis is :
1. Hyperkinetic child
2. Autistic Disorder
3. Attention deficit disorder
4. Schizophrenia

Correct answer: 2. Autistic Disorder

Explanation: Ans. is 'b' Autistic Disorder Symptoms of the child and H/o Birth Asphyxia strongly suggests the diagnosis of Autistic Disorder.Birth Asphyxia is a common came of this disorderAutistic Disorder1. Impairment in social and interpersonal interactions.2. Impairment in language and nonverbal communication3. Intellectual disability4. Decreased Physical GrowthHyperkinetic child is characterized by1. Poor attention span with distractibility*2. Hyperactivity*3. Impulsivity*Attention deficit disorder & Hyperkinetic child are one and same thing.Schizophrenia is an absurd option (only a schizophrenic can go for it)